In Millennium Development Goals (MDGs), how many goals are health related?
1. 1 out of 8
2. 2 out of 8
3. 3 out of 8
4. 4 out of 8

Correct answer: 3. 3 out of 8

Explanation: Ans. C. 3 out of 8. (Ref. Park's Textbook of PSM 22nd/834-835).In Millennium Development Goals (MDGs)These (MDG) goals were set in Millennium Summit, New York in September 2000Target year -2015Total Goals - 8Health related are- Goal No. 4, 5, 6.Target - 18Indicators - 48 (18 health related)Priority areas-# Peace, security & disarmament# Development & poverty eradication# Protecting common environment, human right, democracy & good governance# Protecting the vulnerable# Meeting the special needs of Africa# Strengthen UNMillennium Development GoalsThe eight MDGs break down into 21 quantifiable targets that are measured by 60 indicators.Among various indicators few are accepted by Govt, of India few deleted and few modified.Accepted are-Indicator No. 18- HIV prevalence among pregnant women aged 15-24 years.Indicator No. 24- proportion of TB cases detected and cured under DOTS.Deleted are-Indicator No. 19(c) - contraceptive prevalence rateIndicator No. 20- ratio of school attendance of orphans to school attendance of non orphans aged 10-14 years.Rest Indicators are modified.